In Rabies, the characterstic pathological manifestation is -
1. Ventriculitis
2. Brainstem encephalitis
3. Basal ganglia affection
4. Meningitis

Correct answer: 2. Brainstem encephalitis